80 year old, asymptomatic man present with a Total leucocyte count of 1 lakh, with 80% lymphocytes and 20% FMC's. What is the most probable diagnosis -
1. HIV
2. CML
3. CLL
4. TB

Correct answer: 3. CLL